Which of the following is TRUE about cephalhematoma
1. It is caused by oedema of the subcutaneous layer of the scalp
2. Treatment is by aspiration
3. Tension does not vary with crying
4. Most common over the occipital part of the skull

Correct answer: 3. Tension does not vary with crying

Explanation: Cephalohematoma cranial subperiosteal hematomas cause is prolonged second stage of labour or instrumental delivery develop from shearing forces during labor and delivery that lacerate the emissary or diploic veins, the densely adhered periosteum impedes rapid enlargement and limits final hematoma size. does not cross suture line may not be apparent until hours after delivery untill bleeding sufficient to raise the periosteum has occurred. no treatment required unless hyperbilirubinemia is present Caput succedaneum swelling of the scalp causes edema that overlies the periosteum. maximal at birth cause is pressure of presenting part against cervix crosses suture line rapidly grows smaller, and usually disappears within hours or a few days no treatment required